The mechanical system in which fresh air is blown into the room by centrifugal fans so as to create positive pressure and displace the vitiated air is termed as
1. Balanced ventilation
2. Plenum ventilation
3. Exhaust ventilation
4. Air conditioning

Correct answer: 2. Plenum ventilation